Terminal branches of facial nerve are all EXCEPT:
1. Mandibular nerve
2. Marginal branch
3. Temporal
4. Cervical

Correct answer: 1. Mandibular nerve

Explanation: After it gives off the posterior auricular nerve, the facial nerve divides within the parotid gland into its terminal branches. The terminal branches are; Temporal Zygomatic Buccal Marginal (along the mandible) Cervical (A traditional mnemonic device for the five terminal branches of the facial nerve is, "Ten Zebras Bit My Cat")